XIB of xerophthalmia in WHO classification refers to
1. Corneal sclerosis
2. Conjunctival sclerosis
3. Bitot spots
4. Corneal Ulceration

Correct answer: 3. Bitot spots

Explanation: X1A - Conjunctival Xerosis
X1B - Bitot Spots
X2 - Corneal Xerosis.